Epidermal bullae are seen in?
1. Bullous impetigo
2. Bullous Pemphigoid
3. Porphyria cutanea tarda
4. Dermatitis herpetiformis

Correct answer: 1. Bullous impetigo

Explanation: Ans. is 'a' i.e., Bullous impetigoImportant vesiculo-bullous disordersIntraepidermalSubepidermal (dermo-epidermal)1) Subcorneal (granular layer)* Blister is in granular layer or just below stratum corneuma) Pemphigus foliaceous & erythmatosusb) Staphylococcal scalded skin syndromec) Miliaria crystalinad) Bullous impetigoe) Friction blisterf) Subcorneal pustular dermatosis2) Spinous layer* Blisters are within spinous layera) Eczematous (atopic) dermatitisb) HSV/VZV infectionc) Molluscum contagiosumd) Familial benign pemphigus (Hailey- Hailey disease)3) Suprabasal* Blisters are between stratum basale and other superficial layers of epidermisa) Pamphigus vulgarisb) Darrier's disease4) Basal layer* Blisters are within basal layera) Erythema multiformeb) Epidermolysis bullosa simplex1. Junctional (at Basal lamina)a) Junctional epidermolysis bullosab) Bullous pemphigoidc) Toxic epidermal necrolysis2. Dermolytic (Below basal lamina)a) Epidermolysis bullosa acquisitab) Epidermolysis bullosa dystrophicansc) Dermatitis herpetiformisd) Deep burnse) Porphyria cutanea tarda